All of the following are true about treatment of migraine, EXCEPT:
1. Naratriptan acts longer than sumatryptan
2. Sumatryptan is used in acute attack of migraine
3. Sumatryptan acts on 5HT 1B/1D receptors in great vessels
4. Sumatryptan is used for chronic migraine

Correct answer: 4. Sumatryptan is used for chronic migraine

Explanation: Sumatriptan is an agonist at 5-HT serotonin receptors, in particular 5HT 1B/1Dreceptors. It is used in the treatment of acute migraine attacks but is not recommended for migraine prophylaxis. The drug provides rapid relief of migraine headache as well as relief of the associated manifestations of migraine including nausea, vomiting, photophobia and phonophobia. Short-acting, rapidly effective triptans include almotriptan, sumatriptan, rizatriptan, zolmitriptan, and eletriptan, whereas naratriptan and frovatriptan have the longest half-lives. 5HT 1B/1Dreceptor agonists are sumatriptan, naratriptan, rizatriptan, and zolmitriptan. Ref: Instant Pharmacology By Kourosh Saeb-Parsy, Ravi G. Assomull, Fakhar Z. Khan, Kasra Saeb-Parsy, Eamonn Kelly, 1999, Page 300 ; Harrison's 17th ed chapter 15